Characteristic feature of carcinoma fallopian tube:
1. Watery discharge P/V
2. Hemorrhage
3. Pain
4. Sepsis

Correct answer: 1. Watery discharge P/V